True about widal test:
1. Anti-0 antibody persists longer
2. 0 antigen of S. paratyphi is used
3. H-antigen is most immunogenic
4. Felix tube is used for 'H' agglutination lnar

Correct answer: 3. H-antigen is most immunogenic

Explanation: Ans. is. 'c' i. e., H-antigen is most immunogenic